The most serious complication of prolonged sitting position is:
1. Venous air embolism
2. Dysrhythmias
3. Hypotension
4. Nerve palsies

Correct answer: 1. Venous air embolism

Explanation: Ans. a. Venous air embolism (Ref: Gregory's Pediatric Anesthesia (2012)/548, http:// emedicine.medscape.com/article/761367-overview)The most serious complication of prolonged sitting position is venous air embolism."Venous air embolism (VAE), a subset of gas embolism, is an entity with the potential for severe morbidity and mortality. Venous air embolism is a predominantly iatrogenic complication that occurs when atmospheric gas is introduced into the systemic venous system. In the past, this medical condition was mostly associated with neurosurgical procedures conducted in the sitting position."- style="font-size: 1.04761904761905em; font-family: Times New Roman, Times, serif; margin: 0 0 0 8px; text-indent: 0">"Venous air embolism is one of the most serious complications of anesthesia and surgery. It may occur whenever the operative site is elevated above the heart, and the risk increases as the height difference increases. Classically it is associated with posterior fossa surgeries in the sitting position. Gregory's Pediatric Anesthesia (2012)/548Side-Effects of Silting All the day* Deep vein thrombosisQ* ObesityQ* Increased risk of heart diseaseQ* Risk of diabetesQ* Raised cholesterolQ* Herniated disk* Poor posture* Knee pain* Muscle weakness* Increases risk of depressionQ* Slowed metabolism* Neck problems* Back aches and painQ* Shorter life span